A 36 years old female on prone dark room test develops pain in eyes. Which of the following drugs should be avoided?
1. Acetaolamide
2. Piocarpine
3. Atropine
4. Timolol

Correct answer: 3. Atropine

Explanation: In an eye that is predisposed to develop angle closure glaucoma, any of the following factors may precipitate an attack: Dim illumination,  Emotional stress, Use of mydriatic drugs like atropine, cyclopento-late, tropicamide and phenylephrine. Ref comprehensive ophthalamology AK Khurana 4th edition page no:225